WHICH OF THE FOLLOWING ANTIHYPEENSIVES DRUG IS AVOIDED IN PATIENTS WITH HIGH SERUM URIC ACID LVELS?
1. ENALAPRIL
2. PRAZOCIN
3. ATENALOL
4. HYDROCHLOR THIAZIDE

Correct answer: 4. HYDROCHLOR THIAZIDE

Explanation: REF : KD TRIPATHI 8TH ED